Following movement of tip is seen in Giromatic hand piece:
1. Reciprocating 90° arc
2. 180° arc
3. Oscillating to and fro moments
4. Vertical displacement of tip

Correct answer: 1. Reciprocating 90° arc